Which hormone stimulates pancreatic secretion that is rich in bicarbonate?
1. Somatostatin
2. Secretin
3. CCK
4. Gastrin

Correct answer: 2. Secretin